A female patient with solid ovarian neoplasm developed Meigs syndrome. All of the following are the components of this triad, EXCEPT:
1. Pulmonary edema
2. Pleural effusion
3. Ascites
4. Solid ovarian mass

Correct answer: 1. Pulmonary edema

Explanation: Meigs syndrome is a triad of, Pleural effusion Ascites A solid ovarian mass It usually associated with benign fibromas. Pleural effusions are usually right-sided, and these, as well as accompanying ascites, are typically transudative and resolve after tumor resection. Ref: Hoffman B.L., Schorge J.O., Schaffer J.I., Halvorson L.M., Bradshaw K.D., Cunningham F.G., Calver L.E. (2012). Chapter 36. Ovarian Germ Cell and Sex Cord-Stromal Tumors. In B.L. Hoffman, J.O. Schorge, J.I. Schaffer, L.M. Halvorson, K.D. Bradshaw, F.G. Cunningham, L.E. Calver (Eds), Williams Gynecology, 2e.